Choledochotomy is-
1. Removal of bile duct
2. Opening of CBD
3. Opening of cystic duct
4. Removal of cystic duct

Correct answer: 2. Opening of CBD

Explanation: Ans. is 'b' i.e., Opening of CBDo "Choledocho " - CBDo "Otomy " - Making an opening in